Which of the following agents is used for the treatment of Thrombocytopenia secondary to myelosupressive cancer chemotherapy
1. Filgrastim
2. Sargramostim
3. Oprelvekin
4. Erythropoetin

Correct answer: 3. Oprelvekin

Explanation: Ans is 'c' i.e. Oprelvekin Oprelvekin (Recombinant IL-11) is used in chemotherapy induced thrombocytopenia.